Which of these enzymes does not play a role in the generation of proton gradient during electron transport?
1. NADH oxidase
2. Succinate CoQdehydrogenase
3. Cytochromeoxidase
4. Cytochromeb-c1

Correct answer: 2. Succinate CoQdehydrogenase

Explanation: Ref:    Harper’s ‘Illustrated Biochemistry’; 27/e, pg103